Anterograde amnesia is seen in : a) Head injuryb) Strokec) Spinal cord injury (Traumatic paraplegia)d) Alzheimer's disease
1. acd
2. abd
3. abc
4. ab

Correct answer: 2. abd

Explanation: Causes of Amnesia :

Physical Causes (Both antegrade and retrograde) : Head trauma, Degenerative brain disorders (e.g. Alzheimer's disease), blockage of cerebral blood vessels (stroke), infectious diseases, chronic alcoholism (korsakoff syndrome).
Psychogenic (Dissociative) amnesia → Retrograde.